Patient presenting with abdominal pain, diarrhea taking clindamycin for 5 days. Treated with metronidazole symptoms subsided. What is the causative agent -
1. Clostridium difficile
2. Clostridium perfringens
3. Clostridium welchi
4. Clostridium marneffi

Correct answer: 1. Clostridium difficile

Explanation: Ans. is 'a' i.e., Clostridium difficile